Which of the following activate Kinase of glycolysis:
1. ATP
2. cAMP
3. Insulin
4. Glucagon

Correct answer: 3. Insulin

Explanation: Usually anabolic pathways are activated by Insulin. But Insulin also activates glycolysis (Catabolic pathway) as an exception. It activates:- Glucokinase, PFK-1, and Pyruvate Kinase enzymes of glycolysis. Insulin activates all anabolic pathways enzymes: HMP Glycogenesis FA synthesis Cholesterol synthesis TG synthesis Lipoprotein Lipase enzyme But Insulin also activates two catabolic pathway enzymes, i.e. Glycolysis & Link reaction.